Parotid duct opens:
1. Floor of the mouth
2. Opposite lower second molar tooth
3. Opposite upper second molar tooth
4. At epiglottis border

Correct answer: 3. Opposite upper second molar tooth

Explanation: Ducts of salivary glandsDuct of submandibular gland opens on the floor of the mouth, on the summit of sublingual papilla, at the side of the frenulum of the tongueAbout 15 ducts emerge from the sublingual gland. Most of them open directly into the floor of the mouth on the summit of the sublingual fold.The parotid duct runs forward for a short distance between the buccinator and the oral mucosa. Finally the duct turns medially and opens into the vestibule of the mouth opposite the crown of the upper second molar tooth